Gradenigo's syndrome is characterised by -a) Retro orbital painb) Profuse discharge from the earc) VII nerve palsyd) Diplopia
1. abd
2. bcd
3. abc
4. ab

Correct answer: 1. abd